All the statements are true for medullary carcinoma breast except?
1. Associated with BRCA-2.
2. Usually triple negative
3. Axillary lymph node enlargement bacause of reactive hyperplasia
4. Lymphoreticular infiltration

Correct answer: 1. Associated with BRCA-2.

Explanation: Medullary carcinoma of breast Invasive breast cancer 5% of breast cancers Associated with BRCA-1 Axillary lymph node enlargement bacause of reactive hyperplasia Lymphoreticular infiltration Electron M/E - Bizarre cells with high-grade nuclear features Syncytial pattern -Sheets of cells surrounded mononuclear lymphocytes. Borders push into the adjoining breast tissue In its pure form, High grade, Triple negative - ER and PR negative,Her-2-neu negative